Ringworm of the nail beds?
1. Tinea capitis
2. Tinea Pedis
3. Tinea Corporis
4. Tinea unguium

Correct answer: 4. Tinea unguium

Explanation: Diseases include dermatophytic infections (tineas, also called ringworm).Itching is the most common symptom of all tineas.* Tinea capitis: ringworm of the scalp (most serious form is us (tinea osa), which is very contagious and causes permanent hair loss)* Tinea barbae: ringworm of the bearded region* Tinea corporis: dermatophytic infection of the glabrous skin* Tinea cruris: jock itch* Tinea pedis: athlete's foot* Tinea unguium: ringworm of the nails Ref : Ananthanarayana textbook of Microbiology 9th edition Pgno : 595-596